True regarding collagen synthesis is all except ?
1. Synthesized in ribosomes as preprocollagen
2. Hydroxylation of proline occurs in Golgi apparatus
3. Hydroxylation of lysine occurs in ER
4. Triple helix assembly occurs in ER

Correct answer: 2. Hydroxylation of proline occurs in Golgi apparatus

Explanation: Ans. is 'b' i.e., Hydroxylation of proline occurs in Golgi apparatus